The enzyme trypsin is specific for peptide bonds of:
1. Basic amino acids
2. Acidic amino acids
3. Aromatic amino acids
4. Next to small amino acid residues

Correct answer: 1. Basic amino acids

Explanation: Ans. A. Basic amino acidsTrypsin is an endopeptidase which cleave protein chains at internal peptidebonds, but each preferentially hydrolyses bonds adjacent to a particular type of amino acid residue. Trypsin cuts just next to basic residues (lysine or arginine); chymotrypsin cuts next to aromatic residues (phenylalanine, tyrosine or tryptophan).